Red current jelly stools seen in-
1. Intestinal obstruction
2. Amebiasis
3. Intussuception
4. Volvulus

Correct answer: 3. Intussuception

Explanation: Ans. is 'c' i.e., Intussuception